Post menopausal HRT decreases incidences of which malignancy-
1. Breast
2. Colorectal
3. Ovarian
4. Endometrium

Correct answer: 2. Colorectal

Explanation: Ans. is 'b' i.e., Colorectal Indications of HRTSymptomatic women suffering from estrogen deficiencyHigh-risk cases of menopausal complications such as cardiovascular disease, osteoporosis, stroke, Alzheimer disease & colonic cancer (prophylactic).Premature menopause, spontaneous or following surgery' (prophylactic).Gonadal dysgenesis in adolescents, (therapeutic)